Vector of scrub typhus in man ?
1. O. tsutsugamushi
2. Leptotrombidium deliense
3. Lice
4. Pediculous humanus

Correct answer: 2. Leptotrombidium deliense

Explanation: Ans. is 'b' i.e., Leptotrombidium deliense o For scrub typhus :- Causative agent R. tsutsugamushi Vector trombiculid mite (Leptotrombidium delinese and L. akamushi)